Which is not true of carbuncle -
1. Infective gangrene of subcutaneous tissue
2. Caused by staphylococcus
3. Diabetics are more prone
4. Caused by streptococcus

Correct answer: 4. Caused by streptococcus